Hamman's sign is seen in-
1. Pneumomediastinum
2. Pericardial effusion
3. SVC obstruction
4. Thyrotoxicosis

Correct answer: 1. Pneumomediastinum

Explanation: hamman sign is a feature of pnuemo mediastinum Hamman's sign (rarely, Hammond's sign or Hammond's crunch) is a crunching, rasping sound, synchronous with the heartbeat, heard over the precordium in spontaneous mediastinal emphysema. It is felt to result from the heart beating against air-filled tissues. It is named after Johns Hopkins clinician Louis Hamman, M.D. Ref Davidson 23rd edition pg 440